Ligament of shoulder joint are all except
1. Coracoclavicular
2. Glenohumoral
3. Coracohumeral
4. Transverse humeral

Correct answer: 1. Coracoclavicular

Explanation: A glenohumeral ligament connects the glenoid cavity to the humerus. Coracohumeral connects the coracoid process to the neck of the humerus. A transverse humeral ligament connects the upper part of the bicipital groove of the humerus. BD Chaurasia 7th edition Page no: 146,147